Anabolic steroids may produce the following side effects except -
1. Precocious puberty in children
2. Cholestatic jaundice
3. Delayed closure of epiphysis in children
4. Acne in males and females

Correct answer: 3. Delayed closure of epiphysis in children

Explanation: Ans. is 'c' i.e., Delayed clossure of epiphysis in children Side effects of anabolic steroids are same as androgen : Virulization & hirusitism HDL & T LDL Early closure of epiphysis Gynaecomastia Acne, edema Precocious puberty Cholestatic jaundice Hepatic carcinoma